Shift of the oxygen dissociation curve to right is caused by the following factors EXCEPT
1. Increased 2, 3, BPG
2. Increased temperature
3. Increased concentration of carbon-di-oxide
4. Increased concentration of oxygen

Correct answer: 4. Increased concentration of oxygen